Amplification of N myc is associated with which tumour ?
1. Neuroblastoma
2. Retinoblastoma
3. Osteosarcoma
4. Neuromas

Correct answer: 1. Neuroblastoma

Explanation: Ans. is 'a' i.e., Neuroblastoma o Amplification of N-MYC is associated with a variety of tumors, most notably neuroblastomas.o C-MYC translocation causes Burkitt's lymphomao L-MYC amplification causes small cell carcinoma of lungo N-MYC amplification causes Neuroblastoma.